High concentration of bupivacaine during labour is contraindicated due to its
1. CNS depressant action
2. CNS stimulant action
3. Cardiotoxicity
4. Hypersensitivity reaction

Correct answer: 3. Cardiotoxicity